Most deaths involving placenta previa result from:
1. Infection
2. Toxemia
3. Hemorrhage
4. Thrombophlebitis

Correct answer: 3. Hemorrhage

Explanation: Hemorrhage